Porphyrin of normal erythrocyte haemoglobin is
1. Coproporphyrin I
2. Uroporphyrin III
3. Protoporphyrin III
4. Uroporphyrin I

Correct answer: 3. Protoporphyrin III

Explanation: Heme is iron containing protoporphyrin. Protoporphyrins are named according to the side chains, i.e. Methyl, vinyl, propionyl.